Axial myopia is -
1. Increase in anterio-posterior length of the eyeball
2. Increased curvature of cornea
3. Anterior placement of crystalline lens
4. Increase in refractive index of crystalline lens

Correct answer: 1. Increase in anterio-posterior length of the eyeball

Explanation: Ans. is 'a' i.e. Increase in anterio-posterior length of the eyeball Etiological Classification of myopiai) Axial- commonest# Increase in anterio-posterior length of the eyeball# 1mm increase in AXL-3D of Myopia.ii) Curvatural# Increased curvature of cornea, lens or both.# (eg. Keratoconus, Lenticonus)# 1 mm increase in radius of curvature- 6D Myopiaiii) Positional# Produced by anterior placement of crystalline lens in eyeiv) Index# Increase in refractive index of crystalline lens associated with nuclear sclerosisv) Others# Myopia due to excessive accommodation,# Myopia due to relaxed or ruptures suspensary ligament or zonules.